The average length of a full term child will be about -
1. 30 cms
2. 35 cms
3. 40 cms
4. 50 cms

Correct answer: 4. 50 cms

Explanation: The average length in full term mature child is between 48-52 cms.